Which of the following fungi is difficult to isolate in culture
1. Candida
2. Dermatophytes
3. Cryptococcus
4. Malassezia furfur

Correct answer: 4. Malassezia furfur

Explanation: Malassezia furfur is a lipophilic yeast like fungus. ADA overlaid with a layer yeast-like is used for culture Reference: Textbook of Microbiology; Baveja; 4th edition